Which of the following is not a liver capsular plate?
1. Portal plate
2. Hilar plate
3. Umbilical plate
4. Cystic plate

Correct answer: 1. Portal plate